Acro Osteolysis is seen in
1. Amyloidosis
2. Gout
3. Psoriatic arthropathy
4. Multiple myeloma

Correct answer: 3. Psoriatic arthropathy

Explanation: Acroosteolysis

Sclerodeima
Hyperparathyoidism
Rheumatomoid arthritis
Raynaud's
Psoriatric arthropathy.